Following are the mature mineralized matrix marker of the periodontal ligament except:
1. Type 1 and type 3 collagen.
2. Osteonectin.
3. Alkaline phosphate.
4. Osteopontin.

Correct answer: 1. Type 1 and type 3 collagen.

Explanation: Markers for Periodontal Ligament Stem Cells
1. Bone Marrow Markers

STRO-1

2. Perivascular Cell Markers

CD146
αSMA
Pericyte associated antigen 3G5
CD106

3. Mature Mineralized Matrix Markers

Alkaline phosphatase
Osteonectin
Osteopontin
Osteocalcin
Bone sialoproteins

4. Connective Tissue Protein Markers

Type I and III collagen